A person consumes large quantities of alcohol daily since 20 years. He is physically dependent on alcohol. Drug that should not be given to this person is:
1. Disulfiram
2. Acamprosate
3. Naltrexone
4. Chlordiazepoxide

Correct answer: 1. Disulfiram

Explanation: Ans. (A) Disulfiram(Ref KDT 8/e p422)The aim of treatment in alcohol dependence is to prevent withdrawal symptoms first and to avoid relapse thereafter.Drugs to reduce craving are:N - NaltrexoneO - OndansetronT - TopiramateA - AcamprosateDisulfiram is used in psychological dependent persons who are motivated to quit alcohol. It is contra-indicated in physically dependent persons.